Drug not causing exanthematous skin eruption
1. Phenytoin
2. Hydrocortisone
3. Ampicillin
4. Phenylbutazone

Correct answer: 2. Hydrocortisone

Explanation: Drugs causing exanthematous eruptions are penicillin, sulfonamides, anticonvulsants, anti tubercular , allopurinol, nevirapine, phenylbutazone. Hydrocortisone is a corticosteroid is used for the treatment of severe drug reactions but will not induce exanthem